Hypocalcemia due to calcitonin is by:
1. Increased excretion in kidney
2. Decreased bone resorption
3. Decreased intestinal absorption
4. Decreased renal reabsorption

Correct answer: 2. Decreased bone resorption

Explanation: B i.e. Decreased bone resorption Calcitonin causes hypocalcemia by inhibiting bone resorptionQ by direct action on osteoclastsQ.